Accommodation is maximum at the age of
1. 25 years
2. 5 years
3. 14 years
4. 30 years

Correct answer: 2. 5 years

Explanation: Ans. 5 years